Most suitable radioisotope of Iodine for treating hyperthyroidism is:
1. V"
2. 1125
3. I131
4. 1132

Correct answer: 3. I131

Explanation: I131